WHO declared that smallpox has been eradicated in
1. Jun-92
2. Dec-00
3. May-80
4. Jan-85

Correct answer: 3. May-80

Explanation: Smallpox is an acute contagious disease caused by the variola virus, a member of the ohopoxvirus family. It was one of the world's most devastating diseases known to humanity. The last known natural case was in Somalia in 1977. It was declared eradicated in 1980 following a global immunization campaign led by the World Health Organization.